What is implied, if a drug has more renal clearance than the GFR
1. Drug is reabsorbed in the tubules
2. Drug is secreted in the tubules
3. Drug is excreted in bile
4. Drug is neither secreted, nor reabsorbed

Correct answer: 2. Drug is secreted in the tubules

Explanation: If clearance of a substance is greater than GFR, then tubular secretion must be present.